Gemfibrozil is:-
1. HMG CoA inhibitor
2. PPAR-a activator
3. Inhibit cholesterol synthesis
4. Inhibit cholesterol absorption

Correct answer: 2. PPAR-a activator

Explanation: Gemfibrozil: MOA: Activation of the nuclear transcription receptor "peroxisome proliferator - activated receptor alpha" (PPAR-a). Major effects are to increase plasma HDL and to decrease plasma TG. Myopathy risk highest when used with statins Statins: Inhibit HMG COA reductase Inhibit cholesterol synthesis. EZETIMIBE- Inhibit intestinal cholesterol absorption.